Presence of calcification on an intracranial lesion is best made out by:
1. MRI
2. USG
3. CT scan
4. Contrast study

Correct answer: 3. CT scan

Explanation: Ans. C i.e. CT scan CNS: Radiological signs and conditions IOC for subarachnoid hemorrhage (SAH): Non contrast CT Intracranial calcification is seen in: - Cystecercosis, - Pineal and dural calcification Basal ganglia calcification is seen in: Hypoparathyroidism Suprasellar calcification is seen in: - Craniopharyngioma, - Meningioma Rail road/ Tram track calcification: Sturge Weber syndrome Periventricular calcification is seen in: CMV infection Bracket calcification in skull is seen in: Corpus callosum lipoma Separation of sutures in a child is radiological sign of: Raised intra-cranial tension